All are features of delirium except:
1. Impairment of consciousness
2. Immediate memory retention and recall is normal
3. Disorientation
4. Hyperactivity

Correct answer: 2. Immediate memory retention and recall is normal

Explanation: Ans. B: Immediate memory retention and recall is normalDelirium is characterized by clouding of consciousness, characterized by a decreased awareness of surroundings and a decreased ability to respond to environmental stimuli and disorientation (most commonly in time, then in place and usually later in person), associated with a decreased attention span and distractibility.There is also an impairment of registration and retention of new memories.Psychomotor disturbance, usually in form of agitation and occasionally retardation, is present.Delirium:Acute confusional stateCommon in hospitalized elderlyFeatures:- Impaired cognition- Altered level of consciousnessAltered sleep wake cycle- Disturbances in attention and psychomotor activity- Disorientation in time, place and person- HallucinationMarked diurnal variation